Prostaglandin used to control bleeding in Post partum hemorrhage is:
1. Carboprost
2. Alprostadil
3. PGE2
4. PGI2

Correct answer: 1. Carboprost

Explanation: Ref: Dutta textbook of obstetrics Pg.4I6Explanation:Postpartum hemorrhageCarboprost (15 methyl PGF2 alpha) 0.25 mg to be given i.m every I5min upto maximum 2 mgMisoprostol (PGEI) 1000 microgm per rectum AlprostadilSynthetic Prostaglandin El (PGEI) analogIt is a drug used in the treatment of erectile dysfunctionUsed in treatment of Patent ductus arteriosus in NewbornAlso used in 'Critical limb ischemia' due to its vasodilatory properties.